The characteristic and common presentation of diabetic neuropathy is:
1. Amyotrophy
2. Mononeuropathy
3. Symmetrical sensory neuropathy
4. Autonomic neuropathy

Correct answer: 3. Symmetrical sensory neuropathy

Explanation: Answer is C (Symmetrical sensory neuropathy): The most common firm of diabetic neuropathy is distal symmetric sensory polyneuropathy 'The most common form of diabetic neuropathy is distal symmetric polyneuropathy. It most frequently presents with distal sensory loss.